True statement regarding Nitric oxide is :
1. NO is synthesized from arginine
2. NO is spontaneous produced from NO2
3. NO causes vasoconstriction
4. NO is released from mitochondria

Correct answer: 1. NO is synthesized from arginine

Explanation: A i.e. NO is synthesized from arginine